Which of the following will be the most important adjuvant therapy in a case of fungal corneal ulcer –
1. Atropine sulphate eye ointment
2. Dexamethasone eye drops
3. Pilocarpine eye drops
4. Lignocaine eye drops

Correct answer: 1. Atropine sulphate eye ointment

Explanation: Cycloplegics are used in any corneal disease as a symptomatic treatment.
Atropine ointment or eye drop is the DOC.